The first consideration in the differential diagnosis of a painless palatal perforation would be
1. Syphilis
2. Histoplasmosis
3. Scrofuloderma
4. Actinomycosis

Correct answer: 1. Syphilis